Which among the following is bile esculin positive and shows growth in 6.5% sodium chloride?
1. Streptococcus agalactiae
2. Streptococcus pneumoniae
3. Enterococcus faecalis
4. Streptococcus viridans

Correct answer: 3. Enterococcus faecalis

Explanation: - Enterococcus faecalis can- - Resist 6.5% NaCL - Resist 40% bile - Temperature of >55o C They are bile esculin positive. Bile esculin agar is used to culture. Black coloured colonies are seen. In gram staining, Spectacle like appearance is present